Pin code index of N2O is
1. 1,6
2. 2,5
3. 2,6
4. 3,5

Correct answer: 4. 3,5

Explanation: PIn index provides prevention of wrong attachments of cylinders . N20 - 3 ,5 O2 - 2 , 5 C02 (Gas) - 1 ,6 . ( Liquid below 88F ) 2 , 6 ; Cyclopropane 3 , 6 .